Pituitary secretes all hormones except
1. GH
2. Prolactin
3. Oxytocin
4. Thyroxine

Correct answer: 4. Thyroxine

Explanation: Pituitary hormones, the hormones of the anterior lobe of the pituitary gland controlled by hypothalamic releasing factors; they include growth hormone (somatotropin) prolactin, thyroid-luteinizing hormone, adrenocorticotropic hormone, and melanocyte-stimulating hormone. The posterior lobe is the source of vasopressin, which inhibits diuresis and raises blood pressure, and oxytocin, which stimulates the contraction of smooth muscle, especially in the uterus.Thyroxine a thyroid hormone that contains iodine and is a derivative of the amino acid tyrosine, occurring naturally as l-thyroxine; its chemical name is tetraiodothyronine.Ref: Ganong's review of medical physiology; 24th edition; page no:-325